The CSF findings in TB meningitis include:
1. High sugar + low protein
2. Low sugar + high protein and lymphocytosis
3. High sugar + high chloride
4. Low sugar + high protein and lymphopenia

Correct answer: 2. Low sugar + high protein and lymphocytosis

Explanation: b. Low sugar + high protein and lymphocytosis(Ref: Nelson's 20/e p 2936-2948, Ghai 8/e p 563-565)Lymphocytosis is seen in Tuberculous meningitis, though in early stages, CSF neutrophilia may be seen